Oral contraceptive Pill (OCP) failure is seen with all except:
1. Rifampicin
2. Phenobarbitone
3. Valproate
4. Phenytoin

Correct answer: 3. Valproate

Explanation: Drugs leading to OCP failure are: Rifampicin Tetracyclines Phenytoin Phenobarbitone Antifungals Cephalosporin Ritonavir for HIV (interferes with absorptionn of OCP) Ref: online resources (ncb.nlm.nih.gov)